Which of the following organism requires tryptophan for growth -
1. H. influenza
2. Vibrio
3. Gonococci
4. Salmonella typhi

Correct answer: 4. Salmonella typhi

Explanation: Ans. is 'd' i.e., Salmonella typhi